Most common cause of epidural abscess
1. Staphylococcus
2. Streptococcus
3. Gram negative bacilli
4. Microanerophilic anaerobic streptococci

Correct answer: 1. Staphylococcus

Explanation: Harrison's principles of internal medicine. * Staphylococci or gram negative organisms are the usual cause of an epidural abscess